2nd generation sulfonylurea drugs are all except:
1. Glipizide
2. Gliclazide
3. Tolbutamide
4. Glibenclamide

Correct answer: 3. Tolbutamide